Taper present in 20 number GT file is
1. 0.06, 0.08, 0.10, 0.12
2. 0.006, 0.008, 0.01, 0.012
3. 0.6, 0.8, 1.0, 1.2
4. 0.03, 0.04, 0.05, 0.06

Correct answer: 1. 0.06, 0.08, 0.10, 0.12